Snow storm appearance on USG is seen in:
1. Hydatidiform mole
2. Ectopic pregnancy
3. Anencephaly
4. None of the above

Correct answer: 1. Hydatidiform mole

Explanation: The ultrasound appearance is diagnostic described as snow storm appearance.It may also show the presence of theca lutein cyst in the ovaries .In partial mole ultrasound may show a foetus.Helps in early diagnosis of molar pregnancy (refer pgno:170 sheila textbook of obstetrics 2 nd edition)